All the following statements about alpha-glucosidase inhibitors are true except:
1. Reduces intestinal absorption of carbohydrates
2. Effective in both type 1 and 2 diabetes
3. Hypoglycemia is a common and serious side effect
4. Can be used with other oral hypoglycemic agents

Correct answer: 3. Hypoglycemia is a common and serious side effect

Explanation: Ans. (C) Hypoglycemia is a common and serious side effect(Ref: KDT 8/e p301)Hypoglycemia is caused by the drugs stimulating the release of insulin, e.g. insulin, sulfonylureas and meglitinides.Biguanides, a-gluosidase inhibitors and thiazolidinediones act by other mechanisms and thus are less likely to cause hypolycemia.